Targeted critical agents used in a bioterrorist event are except?
1. Junin virus
2. Ricinus communis
3. Bacillus cereus
4. Coxiella burnetii

Correct answer: 3. Bacillus cereus

Explanation: Ans. C. Bacillus cereusAgents of bioterrorisma) Ricinus communisb) Bacillus anthracisc) Coxiella burnetiid) Yersinia pestise) Small poxf) Viral hemorrhagic fevers -Junin virus